Patient suffering from lesions over axilla, groin and trunk. Lesions show central clearing with surrounding papulovesicular margin progressively increasing at borders. Which will be the preferred investigation among the following?
1. Wood's lamp examination
2. 10% KOH mount
3. Skin biopsy
4. Patch testing

Correct answer: 2. 10% KOH mount

Explanation: Ans. b. 10% KOH mountExplanation: Central clearing is associated with tinea corporis (dermatophytic fungal infection). So, answer will be KOH mount.